A 30 years old male came to OPD with palpable mass in relation to testis. On examination, the testis was enlarged and the mass was hard. What is the next best step?
1. Ultrasound
2. FNAC
3. Biopsy
4. High inguinal orchidectomy

Correct answer: 1. Ultrasound

Explanation: Any mass in relation to testis is considered malignant unless proved otherwise. FNAC is contra-indicated, in order to avoid involvement i.e seeding and local invasion inguinal nodes of scrotal wall bytesticular tumors. IOC: Ultrasound: Hypoechoic mass in relation to testis - Tx High Inguinal Orchidectomy High Inguinal Orchidectomy: On the basis of suspicion itself Orchidectomy performed close to Deep Ring